Which of the following is the SI unit for measuring blood pressure?
1. Ton
2. kPa
3. Barr
4. mmHg

Correct answer: 2. kPa

Explanation: The applicable SI unit for the measurement of blood pressure is kilopascal (k Part). Ref: Chemical Principles By Steven S. Zumdahl, 6th Edition, Page 106; SI Units for Clinical Measurement By Donald S. Young, Page 22